Mallory's hyaline is seen in ?
1. Hepatitis C infection
2. Amoebic liver abscess
3. Indian childhood cirrhosis
4. Autoimmune hepatitis

Correct answer: 3. Indian childhood cirrhosis

Explanation: Ans is 'c' i.e., Indian childhood cirrhosis